Dapagliflozin inhibits which glucose transporter?
1. GLUT - 3
2. GLUT - 1
3. SGLT-2
4. GLUT - 2

Correct answer: 3. SGLT-2

Explanation: SGLT-2. DAPAGLIFLOZIN An SGLT-2 inhibitor drug of gliflozin class. Used in type 2 diabetes treatment. MECHANISM OF ACTION: Glucose is reabsorbed completely in proximal tubules by sodium-glucose cotransporter-2 . Dapagliflozin acts by inhibiting SGLT-2 transporter.